Bundle bone is part of
1. Periodontal ligament
2. Alveolar bone
3. Cementum
4. Longbones

Correct answer: 2. Alveolar bone